Coenzyme used in Kreb's cycle ?
1. NAD
2. NADP
3. NADPH
4. NADH

Correct answer: 1. NAD

Explanation: Niacin is used as coenzyme nicotinamide adenine dinucleotide (NAD') for transfer of hydrogen.